Effect of GLP-1 ?
1. Increased aldosterone secretion by adrenal
2. Increased PTH secretion
3. Increased insulin secretion from beta-cells of pancreas
4. Increased testosterone secretion from Leydig cells

Correct answer: 3. Increased insulin secretion from beta-cells of pancreas

Explanation: Ans. is 'c' i.e., Increased insulin secretion from beta-cells of pancreas